Most common ty pe of intellectual disability -
1. Mild
2. Moderate
3. Severe
4. Profound

Correct answer: 1. Mild

Explanation: Ans. is 'a' i.e., Mild Category of intellectual disabilityPercentageMild80 - 85 %Moderate10%Severe5 %Profound1 %